All are criteria for CT head in trauma Except
1. GCS <13 at presentation
2. GCS 14 at 2 hours
3. Deviation of mouth
4. One episode of vomiting

Correct answer: 4. One episode of vomiting

Explanation: More than one episode requiredIndications for CT head in traumaGCS <13 at any pointGCS 13 or 14 at 2 hoursFocal neurological deficitSuspected open, depressed or basal skull fractureMore than one episode of vomitingAny patient with a mild head injury over the age of 65 years or with a coagulopathy, for instance, warfarin use, should be scanned urgentlyDangerous mechanism of injury or antegrade amnesia >30 minutes warrants CT within 8 hoursBailey and Love 26e 314